True regarding umbilical cord is :
1. Two artery and two veins
2. One artery and two veins
3. Observation of a single Umbilical vein is associated with additional anomalies
4. Observation of a single Umbilical Artery is associated with additional anomalies

Correct answer: 4. Observation of a single Umbilical Artery is associated with additional anomalies

Explanation: The umbilical cord, surrounded by the amnion, contains two umbilical arteries, one umbilical vein and Wharton's jelly, which serves as a protective cushion for the vessels. Single Umbilical artery is associated with other congenital anomalies and observation of a two-vessel cord with a single umbilical artery in a new born should prompt one to look carefully for additional anomalies. Umbilical arteries: The umbilical arteries are paired branches of the internal iliac arteries. These pass through the connective stalk (umbilical cord) and become continuous with the chorionic vessels of the developing placenta. These vessels carry deoxygenated blood. Fate(after birth) : The proximal portion of the umbilical artery persist as the internal iliac and superior vesical arteries. The distal parts are obliterated to form the median umbilical ligaments. Single umbilical artery: (Seen in 1 to 2% of pregnancies) It is associated with aneuploidy as well as renal and cardiac abnormalities Observation of a Single Umbilical artery (two-vessel cord) should prompt one to loom carefully for additional anomalies in a newborn. Umbilical Veins: Umbilical veins appear as a pair of vessels to return blood from placenta to the fetus. The right umbilical vein is obliterated during the fifth gestational week. Left vein is left (right is obliterated) These vessels carry oxygenated blood. The oxygenated blood is shunted through the ductus venosus into the inferior vena cava and the heart. Fate (After birth) : The left umbilical vein obliterates to form ligamentum teres. Ref: Nelson 20th edition Pgno: 890